Which of the following drugs has maximum chances of causing hyperprolactinemia?
1. Clozapine
2. Olanzapine
3. Ziprasidone
4. Risperidone

Correct answer: 4. Risperidone

Explanation: Ans. (D) Risperidone(Ref: KDT 8th/469)Among the atypical antipsychotic drugs, risperidone has highest risk of causing hyperprolactinemia and extrapyramidal symptoms